In humans, end product of purine metabolism -
1. Allantoin
2. Uric acid
3. CO,
4. None

Correct answer: 2. Uric acid

Explanation: Ans. is 'b' i.e., Uric acid Catabolism of purine nucleotideso Humans catabolize purines (adenine and guanine) to uric acid.o In mammals other than higher primates (in non primate mammals), uric acid is converted to water soluble allantion by enzyme 'uncase'. However, human lack uricase, therefore the end product of purine catablism is uric acid, which is excreted.